Which of the following is the least likely physiological change in pregnancy:
1. Increase in intravascular volume
2. Increase in cardiac output
3. Increase in stroke volume
4. Increase in peripheral vascular resistance

Correct answer: 4. Increase in peripheral vascular resistance